Which of he following is not a fibrous joint?
1. Sutures of the skull
2. First costochondral joint
3. Tooth socket
4. Inferior tibiofibular joints

Correct answer: 2. First costochondral joint

Explanation: Sutures of the skull, tooth socket and inferior tibiofibular joints are examples of fibrous joints. In fibrous joints bones are joined by fibrous tissue without any cavity. 3 types of fibrous joints are sutures, syndesmoses and gomphoses. Sutures occur between bones of the skull. In syndesmoses bones are connected by a ligament or band of fibrous tissue eg: inferior tibiofibular joint. Gomphoses is a peg in socket fibrous joint eg: articulation of a tooth with its bony socket.